Phagocytes kill bacteria through which mechanism
1. Membrane attack complex killing
2. Oxidative and non-oxidative killing
3. Zipper killing
4. Chemotaxis

Correct answer: 2. Oxidative and non-oxidative killing